Sitting without support occurs at what age ?
1. 6 months
2. 5 months
3. 10 months
4. 12 months

Correct answer: 1. 6 months

Explanation: Nelson 18th ed, ch8, table 8.1 A child sits alone without support at the age of 6-8 months.